"Eugenics" is:
1. The study of hereditary improvement of the human race by controlled selective breeding
2. The humane destruction of an animal accomplished by a method that produces rapid unconsciousness and subsequent death without evidence of pain or distress, or a method that utilizes anesthesia produced by an agent that causes painless loss of consciousness and subsequent death
3. A feeling of well-being or elation, may be drug related
4. A state of being carried away by overwhelming emotion

Correct answer: 1. The study of hereditary improvement of the human race by controlled selective breeding

Explanation: Eugenics (sir francis Galton) : is a social philosophy which advocates the improvement of human hereditary traits through various form of intervention (GENETIC MANIPULATION) Negative eugenics: Is aimed at lowering fertility among the genetically disadvantaged. This includes abortion, sterilization, and other method of family planning Positive eugenics: Is aimed to encourage reproduction among the genetically advantaged. Possible approaches includes financial and political stimuli, targeted demography analysis, in vitro fertilization, egg transplant, and cloning Earlier proposed means of achieving EUGENIC GOALS focused on selective breeding, while modern ones focus on prenatal testing and screening, genetic counseling, birth control, in vitro fertilization, and genetic engineering